Incubation period of vaccine associated paralytic poliomyelitis is
1. 1-2 hours.
2. 1-3 days
3. 7-10 days
4. 4-30 days

Correct answer: 4. 4-30 days

Explanation: Vaccine derived paralytic poliomyelitis (VAPP) : Develop paralytic polio after 4-30 days of administration of OPV Poliomyelitis among contacts of OPV : Develop within 7-60 days after exposure to recent OPV - recepient Ref: Human vital pathogens by Liu 1st edition Pgno : 79